High level disinfectant are used for:
1. Stethoscopes
2. Electronic thermometers
3. Bronchoscopes
4. Surgical instruments

Correct answer: 3. Bronchoscopes

Explanation: Ans. is. 'c' i. e., Bronchoscopes